Extrinsic incentive is ?
1. Rewards, not directly related to goals, towards which desired behavior is aimed.
2. Benefit that comes from solving one's own problems.
3. Satisfaction, self-esteem/ enhanced capabilities gained through a proposed course of action.
4. Tangible goods or services

Correct answer: 1. Rewards, not directly related to goals, towards which desired behavior is aimed.

Explanation: INCENTIVES: Factors that stimulate motivation & encourage specific behaviours Types: 1. Intrinsic incentive Benefit that comes from solving one's own problem 2. Extrinsic incentive Rewards that don't relate directly to goal, towards which desired behavior is aimed Eg: financial compensation of individuals undergoing sterilization. 3. Material incentive Include tangible goods or services 4. Psychological incentive Satisfaction, self-esteem / enhanced capabilities gained through proposed course of action